Lympho-venous anastomosis is done for
1. Filarial lymphedema
2. Lymphoid cyst
3. Cystic hygroma
4. Malignant lymphedema

Correct answer: 1. Filarial lymphedema

Explanation: . Lymphovenous shunt is a surgical procedure done in case of filarial lymphoedema using microscope.It is a bypass procedure. Other surgical modalities include charle's operation,Homan's operation,Sistrunk operation,Thompson's operation,Miller's procedure etc.. Refer page no 252 of SRB's manual of surgery 5 th edition.